All of the following are true regarding renal trauma exccept-
1. Observation is best
2. IVP is indicated
3. Exploration indicated in all cases
4. Haematuria is a cardinal sign

Correct answer: 3. Exploration indicated in all cases

Explanation: Ans is 'c' ie. Exploration is indicated in all cases "Surgical exploration is needed in less than 10 percent of closed injuries and is indicated if either there a signs of progressive blood loss or there is an expanding mass in the loin. Bailey 25/eMore than 90 percent of all blunt renal injuries are managed conservatively.An IVP is done urgently to assess the damage to the kidney and to know the functioning of the other kidney.Hematuria is the cardinal sign of a damaged kidney but it may not appear until some hours after the injury. It is present in more than 95% of pts with renal injury. The degree of hematuria does not precisely correlate with the severity of injury.Closed renal injury is usually extraperitoneal. The exception is seen occasionally in young children who have very little extraperitoneal fat. Their peritoneum is in close contact to the kidney and can tear with the renal capsule leaking blood and urine into the peritoneum.ComplicationsPararenal pseudohydronephrosis*Hypertension* resulting from renal fibrosis may occur 3 months or more after injury. If is often refractory to medicines and nephrectomy may be necessary.Aneurysm of the renal artery*.